True about boundaries of inguinal canal are all EXCEPT:
1. Conjoint tendon anteriorly
2. Fascia transversalis is posterior boundary
3. Inguinal ligament forms base
4. Internal oblique forms roof

Correct answer: 1. Conjoint tendon anteriorly

Explanation: Conjoint tendon anteriorlyREF: Gray's anatomy 39th edition page 1109-1111, http://en.wikipedia.org/wiki/Inguinal_canal,To help define the boundaries, the canal is often further approximated as a box with six sides. Not including the two rings, the remaining four sides are usually called the "anterior wall", "posterior wall", "roof", and "floor"-These consist of the following: Superior wall (roof): Internaloblique Transversus abdominis Anterior wall: Aponeurosis of externalINGUINAL CANALPosterior wall:oblique Aponeurosis of internal oblique Transversalis fascia(lateral third of canal only) Superficial Conjoint tendon (medialinguinal ing (medial third of canal only) third of canal only) Deepinguinal ring (lateral third ofcanal only) Inferior wall (floor):Inguinal ligament Lacunarligament (medial third of canalonly) lliopubic tract (lateralthird of canal only) One way to remember these structures is with the mnemonic "MALT", starting at the top and going counterclockwise:M - MusclesA - Aponeuroses (The A in MALT coincides with the position of the wall--anterior. This can be used to remember that the direction of the mnemonic is anticlockwise)L - LigamentsT - Transversalis/Tendon